Thoughts in mind that are associated by rhyming rather than meaningful connections is called as
1. clang association
2. neologism
3. circumstantiality
4. loosening of association

Correct answer: 1. clang association

Explanation: clang, ====subsequent words will have rhyming seen in MANIA In loosening of association, patient comes with random thoughts that is not connected to each other and the goal is not reached. This is classical of schizophrenia In circumstantial speech individual starts about a topic, adds minute irrelevant details , beats around the bush and finally reaches the goal. This is seen in ORGANIC BRAIN CONDITIONS In flight of ideas, the individual starts at a point, shifts the topic , subsequent thoughts will have some association but they will not reach goal. This is classical of MANIA Ref. Kaplon and sadock, synopsis of psychiatry, 11 th edition, pg no.193